Intracranial pressure may be increased by all of the following drugs except -
1. Hypervitaminosis A
2. Corticosteroids
3. Quinolones
4. Aminoglycosides

Correct answer: 4. Aminoglycosides

Explanation: Ans. is 'd' i.e., Aminoglycosides